Which virus families has double stranded DNA in four different isomers?
1. Poxviruses
2. Herpesviruses
3. Rabiesviruses
4. Orthomyxoviruses

Correct answer: 2. Herpesviruses